Secretory phase of endometrium is due to:
1. Estrogen
2. Progesterone
3. Prolactin
4. Pregnanediol

Correct answer: 2. Progesterone

Explanation: Ans. is b, i.e. ProgesteroneREMEMBERAll the effects on endometrium are due to estrogen and progesterone, not due to their urinary metabolites.So secretory endometrium is due to progesterone and don't confuse your concepts just because pregnanediol is given in the options.